Following are included in dissociative disorder -a) Multiple personality disorderb) Fuguec) Hypochondriasisd) Somatization disordere) Obsession
1. ab
2. a
3. ad
4. bc

Correct answer: 1. ab